Thickened gastric folds are found in -
1. Lymphoma
2. Menetrier's disease
3. Carcinoma
4. All

Correct answer: 4. All

Explanation: Ans. is a) Lymphoma; b) Menetrier's disease; c) Carcinoma Menetrier's disease Menetrier's disease is rare disease characterized by large tortuous gastric mucosal folds. The mucosal folds are most prominent in the proximal stomach. Autrum is usually spared. Histologically there is massive foveolar hyperplasia (hyperplasia of the surface mucus secreting cells), which replaces most of the chief and parietal cells. Gastric acid secretion is usually reduced or absent because of the replacement of the parietal cells. Patients develop protein losing gastropathy accompanied by hypoalbuminemia and edema. (Note that Schwartz and CSDT write that there are variants of Menetrier's disease in which acid secretion may be increased)